Which of the following doesn't cause metabolic acidosis-
1. Pyloric stenosis
2. Renal failure
3. Ureterosigmoidostomy
4. Pancreatic Fistula

Correct answer: 1. Pyloric stenosis

Explanation: Uretrosigmoidostomy and pancreatic fistula causes non anion gap metabolic acidosis, whereas renal failure causes high anion gap acidosis. (Ref: Harrison's principles of internal medicine,19E pg 320)